Hydatid cyst is commonly found in:
1. Lungs
2. Liver
3. Kidney
4. Brain

Correct answer: 2. Liver

Explanation: Ans. B: LiverHydatid disease is a parasitic infestation by a tapeworm of the genus Echinococcus.Human echinococcosis is a zoonotic infection caused by the tapeworm of the genus Echinococcus. Of the 4 known species of Echinococcus, 3 are of medical importance in humans. These are Echinococcus granulosus, causing cystic echinococcosis (CE); Echinococcus multilocularis, causing alveolar echinococcosis (AE); and Echinococcus vogeli.E. granulosus is the most common of the threeEchinococcosis can involve any organ. The liver is the most common organ involved, followed by the lungs. These 2 organs account for 90% of cases of echinococcosis